Which structure lies immediately lateral to femoral hernia?
1. Lateral cutaneous nerve of thigh
2. Femoral nerve
3. Femoral artery
4. Femoral vein

Correct answer: 4. Femoral vein

Explanation: Ans is 'd' i.e. Femoral vein Femoral hernia is herniation of abdominal contents through femoral canal. (The base of the femoral canal is called the femoral ring.)Femoral canal is the medial most compartment of the femoral sheath.The 3 compartments of the femoral sheath are:Lateral compartment for -the femoral artery & femoral branch of genito femoral nerveIntermediate compartment for -the femoral vein.Medial compartment (the femoral canal) contains -loose connective tissue, fat, a few lymphatic vessels, and sometimes a deep inguinal lymph node (Cloquet node; this lymph node drains the glans penis in males and the clitoris in females).Three compartments of the femoral sheath with their contents The femoral canal is bordered by:Anteriorly by the inguinal ligamentPosteriorly by the pectineus and its covering fasciaMedially by the lacunar ligamentLaterally by the septum separating it from the femoral vein Also know:Structure which is cut for widening the femoral ring: Lacunar ligamentStructure which may lie on the lacunar ligament and may get inadvertently cut is : Abnormal obturator artery (and may cause alarming hemorrhage)